Shoulder abduction involves all the following except -
1. Movement at sternoclavicular joint
2. Medial rotation of scapula
3. Acromioclavicular joint movement
4. Elevation of humerus

Correct answer: 2. Medial rotation of scapula

Explanation: Movements involved in abduction of shoulder
-        Elevation of humerus
-        Lateral rotation of humerus
-        Lateral rotation of scapula
-        Sternoclavicular joint movement
-        Acromioclavicular joint movement.